Prophylactic anti-D immunoglobulin is given to Rh-negative pregnant women antenatally at
1. 20 weeks
2. 24 weeks
3. 28 weeks
4. 32 weeks

Correct answer: 3. 28 weeks

Explanation: Anti-D immune globulin is given prophylactically to all Rh D-negative, unsensitized women at approximately 28 weeks, and a second dose is given after delivery if the infant is Rh D-positive. Before the 28-week dose of anti-D immune globulin, repeat antibody screening is recommended to identify individuals who have become alloimmunized.Provision of anti-D immune globulin at 28 weeks gestation reduces the third-trimester alloimmunization rate from approximately 2 percent to 0.1 percent (Ref: William's Obstetrics; 25th edition)